Thalassemia shows which kind of inheritance ?
1. Autosomal recessive
2. Autosomal dominant
3. X-linked recessive
4. X-linked dominant

Correct answer: 1. Autosomal recessive

Explanation: Hematopietic autosomal revessive disorders -1)sickle cell Anemia &2) Thalassemias. Ref:robbins 9/e pg141; table 5-2